Clinical signs of gingivitis appear in
1. Initial gingivitis
2. Early gingivitis
3. Late gingivitis
4. Advanced gingivitis

Correct answer: 2. Early gingivitis